A 45-year-old woman has a severe asthmatic exacerbation and requires an arterial blood gas specimen for management. If you are planning to draw the sample from the brachial artery, where should you insert the needle
1. In the lateral aspect of the arm, between the biceps and triceps brachii muscles
2. Just lateral to the biceps tendon in the cubital fossa
3. Just medial to the biceps tendon in the cubital fossa
4. Just medial to the tendon of the flexor carpi radialis muscle at the wrist

Correct answer: 3. Just medial to the biceps tendon in the cubital fossa

Explanation: The brachial artery lies superficial and just medial to the tendon of the biceps brachii in the cubital fossa. The contents of the cubital fossa from medial to lateral are: the median nerve, the brachial artery and the tendon of biceps brachii. Note: * The brachial artery lies deep to the bicipital aponeurosis. It usually divides into the radial and ulnar arteries within the cubital fossa (although this can vary between individuals). * The median nerve exits the cubital fossa between the ulnar and humeral heads of pronator teres. * The medial cutaneous nerve of the forearm (a direct branch of the medial cord of the brachial plexus) lies superficial to pronator teres. * The radial nerve enters the anterior compartment of the arm between brachialis and brachioradialis. It commonly divides into a deep motor and superficial cutaneous branch in the cubital fossa. * The lateral cutaneous nerve of the forearm emerges between biceps and brachialis. * Superficially, the median cubital vein lies between the basilic and cephalic veins. Ref:- BD Chaurasia